A 22 year old woman developed small itchy wheals after physical exertion, walking in the sun, eating hot spicy food and when she was angry. The most likely diagnosis is:
1. Chronic idiopathic utricaria
2. Heat urticaria
3. Solar urticaria
4. Cholinergic urticaria

Correct answer: 4. Cholinergic urticaria

Explanation: D i.e. Cholinergic Urticaria